Sarcoidosis is associated with
1. Cataract
2. Ectopia lentis
3. Anterior uveitis
4. Keratitis

Correct answer: 3. Anterior uveitis

Explanation: Sarcoidosis -Can cause - Anterior uveitis (M /C)- Posterior uveitis- Intermediate uveitis- Pan uveitis M/C presentation - B/L Lymphadenopathy2nd m/c - uveitis C/F - Mutton fat keratic precipitates - Koppe's / busacca's nodules - Bilateral uveitis - Infiltration - Snowball/ string of pearl appearance - Candle wax drippings ( VASCULITIS) - DX - KVEIM TEST + Increase ACE